Coracoid process of the scapula is:
1. Pressure epiphysis
2. Traction epiphysis
3. Atavistic epiphysis
4. Aberrant epiphysis

Correct answer: 3. Atavistic epiphysis

Explanation: Ans. C Atavistic epiphysisRef: Clinical Anatomy, Kulkarni 2nd ed. P 73TYPES OF EPIPHYSIS* Pressure: Seen at the end of long bones subjected to pressure. E.g. Femur, head of humerus, condyles of tibia and femur.* Traction: Formed due to pull of muscles. E.g. Mastoid process, tibial tuberosity, tubercles, trochanters.* Atavistic: Functional in lower animals. Degenerated in humans e.g. Coracoid process of scapula, os trigonum of talus* Abberant: It is an extra epiphysis. E.g. Proximal end of 1st metacarpal bone.